Aspirin is associated with-
1. Reye’s syndrome
2. Sjogren syndrome
3. Reitersvnderome
4. None of above

Correct answer: 1. Reye’s syndrome

Explanation: Reye Syndrome 

Secondary Mitochondrial hepatopathy.
H/o viral injection (Influenza, varicella) & salicylate interactions higher mortality rate.
LFT (raised enzyme with normal bilirubin).

Sjogren’s syndrome 

Autoimmune disorder.
A/w generalised dryness (dry mouth-xerostomia, dry eye-keratoconjuncvis sicca).
A/w other rhemac disorder like - SLF, Rheumatoid arthris, systemic sclerosis.

Reiter syndrome 

Auto immune.
Riad of arthris of large joint, uveis, urethris (cervicis in female).